Prolong latent phase is/are seen in:a) Placenta praeviab) Unripe cervixc) Abruptio placentae d) Excessive sedatione) Early epidural analgesia
1. abc
2. ade
3. ace
4. bde

Correct answer: 4. bde